Treatment of choice for sputum positive pulmonary tuberculosis detected in 1st trimester of pregnancy?
1. Defer till second trimester
2. Start cat. I immediately
3. Start cat. II immediately
4. Start cat. III immediately

Correct answer: 2. Start cat. I immediately

Explanation: Ans. is 'b' i.e., Start cat. I immediately Treatment of TB during pregnancy o Active tuberculosis in pregnancy should be treated. o Treatment should be initiated as soon as the diagnosis is made because maternal tuberculosis is associated with spontaneous abortion, perinatal mortality, small for gestational age and LBW. o First line drugs can be safely used in pregnancy except streptomycin which is contraindicated because of its association with fetal ototoxicity. Isonizide, Rifampicin, pyrizinamdie and ethambutol are safe to use. o Second line drugs such as fluoroquinolenes, ethionamide and protionamide are teratogenic and should not be used.